The increase in head circumference in 1st year of life is what percentage of head circumference at birth
1. 15%
2. 66%
3. 33%
4. 90%

Correct answer: 3. 33%

Explanation: Head circumference at birth = 35cm
↑ in HC in 1st 3 months = 2cm/month = 6cm
↑  in HC in 4-6 months = 1cm/month = 3cm
↑ in HC in 7-6 months = 0.5cm/month = 3cm
By 1st year, HC = 35+6+3+3 = 47cm
↑ in HC = 47 - 35cm = 12cm
% of ↑ in HC in 1st year of life = 12/35 × 100 = 33%